In Gullies temporal approach for reduction of Zygomatic arch fracture Bowes Zygomatic Elevator is placed between:
1. Superficial fascia and the temporal fascia
2. Between the temporal bone and the temporalis muscle
3. Between the temporal fascia and the temporalis muscle
4. Skin and Superficial Fascia

Correct answer: 3. Between the temporal fascia and the temporalis muscle